All are true about double lumen tracheostomy tube except
1. Easy to remove inner cannula
2. Easy to clean inner cannula
3. Easy to replace inner cannula
4. No inner cannula

Correct answer: 4. No inner cannula

Explanation: Care of tracheostomy tube The inner cannula should be removed and cleaned as and when indicated for the first three days. The outer tube, unless blocked or displaced, should not be removed for 3-4 days to allow the track to be formed when the tube placement will become easy. After 3-4 days, the outer tube can be removed and cleaned every day. Ref: Textbook of diseases of ENT, PL Dhingra, 7th edition, pg no. 361